Combination of trimethoprim and sulfamethoxazole is effective against which opportunistic infection in AIDS:
1. Herpes simplex
2. Cryptococcal meningitis
3. Pneumocystis jiroveci
4. Tuberculosis

Correct answer: 3. Pneumocystis jiroveci

Explanation: Ans. C. Pneumocystis jiroveciThis combination of drug is known as cotrimoxazole. It is bactericidal in nature and plays a synergistic role. It is drug of choice for pneumonia caused by pneumocystis jiroveci in AIDS patients.